Vector for transmission of sleeping sickness -
1. Sandfly
2. Black fly
3. Tse-tse fly
4. Hard tick

Correct answer: 3. Tse-tse fly

Explanation: A ns. is 'c' i.e., Tse-tse fly Arthopods Arthropod borne diseases1) Mosquito :1) AnophelesMalaria2) CulexJapanese encephalitisWest nile feverBancroftian filariasisViral arthritis 3) AedesYellow feverDengueDengue haem. FeverChikangunya feverRift valley fever4) MansonoidesBrugian filariasis2) SandflyKalazarOriental soreOroya feverSandfly fever3) Tse - tse flySleeping sickness4) LouseEpidemic typhus, relapsing fever, trench fever, pediculosis.5) Rat fleaBubonic plague, endemic typhus, chiggerosis, hymenolepis diminua6) Black flyOncocerciasis7) Reduvid bugChaga s disease8) Hard tickTick typhus, viral encephalitis, viral haem. Fever, KFD, Tularemia, tick paralysis, human babesiosis. Contd.9) Soft tickQ fever, relapsing fever, KFD10) Trombiculid miteScrub typhus, Ricketssiai pox11) Itch miteScabies12) CyclopsGuinea worm disease. Fish tape worm ( D. latum )13) CockroachesEnteric pathogens14. HouseflyTyphoid and paratyphoid fever, diarrhoea, dysentery; cholera, gastro-enteritis, amoehiasis, helminthic infestations, poliomyelitis, conjunctivitis, trachoma, anthrax, yaws, etc.Note : KFD is mainly transmitted from Hard tick. But soft tick can also transmit it.